Regular inspection of hand files may aid in avoidance of instrument separation. What file defects should be looked for on inspection?
1. Unwinding of the flutes
2. Rolling up or tightening of the flutes
3. Distortion of the tip
4. All of the above

Correct answer: 4. All of the above